Protozoa associated with megaesophagus ?
1. Trypanosome
2. Ameba
3. Giardia
4. Gnathostoma

Correct answer: 1. Trypanosome

Explanation: Ans. is 'a' i.e., Trypanosoma Megaesophagus and megacolon occur as complications of chronic chagas disease. T. cruzi causes chagas' disease Chaga's disease 1. Acute form - Occurs in infants and children. - Presents with fever, unilateral face swelling, lymphadenopathy, splenomegaly and chagoma (Localized swelling of the skin). 2. Chronic form - Occurs in adolescent and adults - Presents with cardiac arrhythmias and neurological manifestations. - Complications --> megacolon, megaesophagus, cardiomyopathy. Romana's sign When entry of the parasite is through the conjuctiva an edematous swelling of eyelids of one eye develops.